All of the following poison's are dialyzable except -
1. Ethylene glycol
2. Methanol
3. Barbiturates
4. Copper sulphate

Correct answer: 4. Copper sulphate

Explanation: alcohols,long acting barbiturates,chloral hydrate,lithium,salicylates,bromide,inorganic mercury,quinidine,theophylline,and sodium chlorate are effectively removed by peritoneal dialysis hemodialysis is used in methanol,ethylene glycol,chloral hydrate,lithium,trivalent arsenic,acetaminophen,bromides,phenobarbital,salycylates,flourides,sodium chlorate,digitalis,methaqualone,boric acid,and thiocyanates REF:THE SYNOPSIS OF FORENSIC MEDICINE AND TOXICOLOGY:K S NARAYANA REDDY;PAGE NO 289